50th percentile is equivalent to:
1. Mean
2. Median
3. Mode
4. Range

Correct answer: 2. Median

Explanation: Median: Middle value in ascending order / Average of 2 middle values in ascending order - 50th percentile means 50% values are below that value in Ascending order Hence, it becomes Middle value (50% above, 50% below) or Median